Which of the following anti glaucoma medication is unsafe in infants
1. Timolol
2. Brimonidine
3. Latanoprost
4. Dorzolamide

Correct answer: 2. Brimonidine

Explanation: IOP-lowering drugs are currently the only medical treatment approved for glaucoma management. ... Brimonidine, the only selective alpha-adrenergic receptor agonist approved for chronic treatment in glaucoma, is indicated for reducing IOP in patients with open-angle glaucoma or OHT. Ref-KDT 6/e p146-147